Acquired mutations in PIGA  gene gives rise to:
1. Paroxysmal Nocturnal Hemoglobinuria
2. Hereditary Spherocytosis
3. Isoimmune hemolytic anemia
4. Fanconi’s anemia

Correct answer: 1. Paroxysmal Nocturnal Hemoglobinuria

Explanation: Paroxysmal nocturnal hemoglobinuria (PNH) is a hemolytic anemia that stems from acquired mutations in PIGA, a gene required for the synthesis of phosphatidylinositol glycan (PIG), which serves as a membrane anchor for many proteins. Because PIGA is X-linked, normal cells have only one active PIGA gene, a mutation of which is sufficient to cause PIGA deficiency.
Robin’s Textbook of pathology 10th ed Page 450